Most common infection causing OPSI after splenectomy
1. Streptococcus pneumonie
2. N. Meningitidis
3. E. Coli
4. Salmonella typhi

Correct answer: 1. Streptococcus pneumonie